Allergic salute is seen in?
1. Allergic rhinitis
2. Chronic sinusitis
3. Nasal Myiasis
4. Chronic conjunctivitis

Correct answer: 1. Allergic rhinitis

Explanation: Clinical features of Allergic rhinitis : Nasal signs: include transverse nasal crease - a black line across the middle of the dorsum of the nose due to constant upward rubbing of nose simulating a salute - ALLERGIC SALUTE, pale and oedematous nasal mucosa which may appear bluish. Ocular signs: include oedema of lids, congestion and cobblestone appearance of the conjunctiva and dark circles under the eyes - ALLERGIC SHINERS Otologic signs include retracted tympanic membrane or serous otitis media as a result of eustachian tube block. Pharyngeal signs: include granular pharyngitis due to hyperplasia of submucosal lymphoid tissue. A child with perennial allergic rhinitis may show all the features of prolonged mouth breathing as seen in the adenoid hyperplasia. Laryngeal signs: include hoarseness and oedema of the vocal cords. (Ref: Diseases of Ear, Nose and Throat and head and neck surgery, PL Dhingra, 7th edition, Pg no. 187)